True about anesthesia cylinders is all except:
1. Most commonly used cylinders is type E
2. DISS is the safety mechanism to prevent wrong fitting of cylinder to machine
3. Cylinders are part of high pressure syste
4. Air is stored in cylinder with grey body with black and white shoulder

Correct answer: 2. DISS is the safety mechanism to prevent wrong fitting of cylinder to machine

Explanation: Diameter Index Safety System, is a gas station outletsystem used in the hospital setting for the supply ofmedical gases. DISS connectors are threaded and have aunique diameter for each type of gasto preventerroneous connection. The system also contains a valve at the outlet/ wall supply side which shuts off gassupply upon disconnection. Gases Physical Form Pin Index Pressure (PSI) Cylinder Colour Air Gas 1, 5 1900 Grey body with black and white shoulder